Endorez system is an example of:
1. Primary monoblock
2. Secondary monoblock
3. Tertiary monoblock
4. Quartenary monoblock

Correct answer: 3. Tertiary monoblock

Explanation: Monoblock means single unit. Depending on the number of interfaces present between the bonding substrate and the bulk material core, replacement monoblocks may be classified as primary, secondary and tertiary.
Primary monoblock has only one interface that extends circumferentially between the material and the root canal wall.
Eg:  (i) HEMA containing root filling material (HYDRON).
(ii) Orthograde obturation with MTA.
Secondary monoblock has two circumferential interfaces, one between cement/sealer and dentin and the other between the cement and the core material (Fiber post or root filling material). This is the classical monoblock perceived in the restorative and endodontic literature.
Eg:  (i) Cement/sealer + Guttapercha
(ii) Panavia cement + Fiber post
(iii) Resilon monoblock obturation system
Tertiary monoblock: has three circumferential interfaces. A third interface is introduced between the bonding substrate (cement/sealer) and the core material (post or root filling material).
Eg: (i) Fiber posts that contain an external silicate coating or unpolymerized resin composite.
(ii) Endorez system, in which gutta-percha cones are coated with a proprietary resin coating.
(iii) Active GP, gutta-percha cones are surface coated with glass ionomer filler.